During neonatal resuscitation of a Spontaneously breathing preterm baby of 30 weeks, who has some amount of Laboured breathing, Oxygen delivery can be done by
1. Endotracheal intubation
2. Laryngeal mask
3. CPAP using T-Pieces
4. Self inflating bags

Correct answer: 3. CPAP using T-Pieces

Explanation: T - piece can deliver PIP / PEEP - 15/5 cm H2O pressure which can be provided via CPAP.
In preterm < 32 weeks self inflating bags are avoided as they provide uncontrolled tidal volume which cause Barotrauma.